Fatal dose morphine is:
1. 100 mg
2. 200 mg
3. 300 mg
4. 500 mg

Correct answer: 2. 200 mg

Explanation: Ans. 200 mg